In haemolytic glaucoma the mechanisms are all except –
1. Siderosis of trabeculae
2. Deposition of haemosiderin
3. RBC clogging the trabeculae
4. Inflammation

Correct answer: 4. Inflammation

Explanation: There is no inflammation. The mechanism of IOP elevation is an obstruction of the trabecular meshwork by macrophages laden with pigment, erythrocytes and debris.